"Satellite lesions" are seen in
1. Intertrigo
2. Tinea Versicolor
3. Kerion
4. Flavus

Correct answer: 1. Intertrigo

Explanation: Intertrigo is a candidal infection & inflammation of body folds characterized by satellite lesions i.e presence of daughter pustules at the periphery of a lesion.
Note: Satellite lesions are also seen in Borderline Tuberculoid type of Leprosy.